Bilateral facial palsy is seen in-
1. Myaesthania gravis
2. Guillain Bane
3. Muscular dystrophy
4. Duchnene muscular dystrophy

Correct answer: 2. Guillain Bane